Which of the following nutritional deficiencies is associated with perifollicular hemorrhage?
1. Vitamin C
2. Niacin
3. Vitamin B12
4. Zinc

Correct answer: 1. Vitamin C

Explanation: Ans. A. Vitamin CVitamin C deficiency, or scurvy, may lead to perifollicular hemorrhage, Niacin deficiency may result in a photo disturbed eruption, diarrhea, and psychiatric symptoms (diarrhea, dermatitis and dementia)Vitamin B12 may lead to glossitis with a shiny, painful tongue.Zinc deficiency may result in a periorifical dermatitis.